Which of the following genetic disease results from a deficiency in the liver enzyme that converts phenylalanine to tyrosine?
1. Albinism
2. Homocystinuria
3. Porphyria
4. Phenylketonuria

Correct answer: 4. Phenylketonuria

Explanation: Phenylketonuria (PKU) is an inherited disorder of amino acid metabolism in which the affected individual lacks enzymes to metabolize phenylalanine.
Albinism is a condition that results in a defect in tyrosine metabolism and the inability to produce melanin.
Porphyria is an inherited disorder involving defects in heme synthesis.
Homocystinuria is a disorder in the metabolism of homocysteine, resulting in high levels of homocysteine and methionine in plasma and urine.